A 25 year old male patient reports with a bony expansile
swelling of the right body of the mandible & mild paresthesia of the right IDN. OPG shows a multi Jocular
radiolucency without root resorption.

Odontogenic Keratocyst is noted for its
1. Malignant transformation
2. Daughter cysts and high rate of recurrence
3. Impacted teeth
4. Nodal metastasis

Correct answer: 2. Daughter cysts and high rate of recurrence